Which primary tooth does not resemble successor
1. Incisor
2. Canine
3. Molar
4. All

Correct answer: 3. Molar

Explanation: Molars have premolars as successors.